Not a part of firearm -
1. Bolt
2. Piston
3. Extractor
4. Muzzle

Correct answer: 2. Piston

Explanation: The synopsis of forensic medicine & toxicology ; Dr k.s narayan reddy ; 28 edition ; Pg no. 122,124,125 Refer the diagrams .